Which of these is true regarding CML -
1. Size of splenomegaly indicates prognosis
2. Phagocytic activity of WBC is reduced
3. Sudan black stain is specific for myeloblast
4. All

Correct answer: 1. Size of splenomegaly indicates prognosis

Explanation: Ans. is 'a' i.e., Size of splenomegaly indicates prognosis SOKAL INDEX is used for assessing the prognosis in CML. It includes 1. % of circulating blasts 3. platelet count 5. cytogenetic clonal evaluation 2. spleen size 4. age o The cytogenic hallmark of CML is presence of philadelphia chromosome (9:22). It is present in all the cell lines. Whether erythroid series, myeloid series or megakaryocytes. Also know o Other index used for assessing the prognosis of CML is HASFORD SYSTEM. It was developed based on IFN-alpha treated patients. It includes:- i) % of circulating blasts iii) Spleen size v) Age % of eosinophils & basophils iv) Platelet count